Spleen projects into the following space of peritoneal cavity
1. Paracolic gutter
2. Infracolic compartment
3. Left subhepatic space
4. Greater Sac

Correct answer: 4. Greater Sac

Explanation: The diaphragmatic surface of the spleen (or phrenic surface) is convex, smooth, and is directed upward, backward, and to the left, except at its upper end, where it is directed slightly to the middle. It is in relation with the under surface of the diaphragm, which separates it from the ninth, tenth, and eleventh ribs of the left side, and the intervening lower border of the left lung and pleura. The visceral surface of the spleen is divided by a ridge into two regions: an anterior or gastric and a posterior or renal. The gastric surface (facies gastrica) is directed forward, upward, and toward the middle, is broad and concave, and is in contact with the posterior wall of the stomach. Ref - BDC vol2 6e pg295-298